Relative to filgrastim (G-CSF), sargramostim (GM-CSF)
1. Has greater oral bioavailability
2. Is more likely to cause thrombocytopenia
3. Is more likely to elicit an allergic reaction
4. Stimulates production of a wider variety of hematopoietic stem cells

Correct answer: 4. Stimulates production of a wider variety of hematopoietic stem cells

Explanation: Stimulates production of a wider variety of hematopoietic stem cells GM-CSF has wider biologic activity than G-CSF; it stimulates early myeloid stem cells in addition to cells destined become neutrophils.